Which of the following is an inhibitor of RNA polymerase in eukaryotes ?
1. Alpha-amanitin
2. Rifampicin
3. Both
4. None

Correct answer: 1. Alpha-amanitin

Explanation: RNA polymerase II enzyme is inhibited by a-amanitin in eukaryotes. a-amanitin is a potent toxin produced by the poisonous mushroom Amanita phalloides (sometimes called "death cap"). a-Amanitin forms a tight complex with the polymerase, thereby inhibiting mRNA synthesis and, ultimately, protein synthesis. Rifampicin inhibits the prokaryotic DNA dependent RNA polymerase Reference: Harpers illustrated biochemistry 30th edition